Hydrocortisone acts as an anti–inflammatory agent because of induction of the synthesis of which of the following protein ?
1. Heat shock protein 90
2. Inhibin
3. Transcortin
4. Lipocortin

Correct answer: 4. Lipocortin